Antalgic hip gait is related to which of the following?
1. Waddling gait
2. Painful hip gait
3. Trendelenberg gait
4. Short leg gait

Correct answer: 2. Painful hip gait

Explanation: Antalgic gait is a limp adopted so as to avoid pain on weight-bearing structures, characterized by very short stance phaseStance phase of the gait is shortened on the injured side to alleviate pain experienced when bearing weight on that side(Refer: Mohindra's Fundamentals of Orthopedics, 2nd edition, pg no. 120)